In indentation tonometry:
1. Plunger indents a hard eye more than a soft eye
2. Lower scale readings are obtained in high intraocular pressure
3. Low scleral rigidity gives high reading of intraocular pressure
4. All of the above

Correct answer: 2. Lower scale readings are obtained in high intraocular pressure

Explanation: Ans. Lower scale readings are obtained in high intraocular pressure